Most abundant immunoglobulin present in breast milk?
1. IgA
2. IgM
3. IgG
4. IgE

Correct answer: 1. IgA

Explanation: Most abundant type of Ig = IgA > IgD > IgG, IgM & IgE Anti-infective factors present in breast milk are: IgA (ratio of IgA: IgG is 100:1) Lymphocytes Anti- streptococcal factor Lysosome Lactoferrin Living cells.